Asplenic pt-more susceptible to-
1. Staphylococcus
2. Pseudomonas
3. Neisseria
4. Pneumococcus

Correct answer: 4. Pneumococcus

Explanation: Ans. is 'd' i.e., Pneumococcus o Most common infection after splenectomy is by - streptococcus pneumoniae ( -50-90% of cases )o Other common bacteria! infections:Haemophilous influenzae type BMeningiococcusGroup A streptococcuso Common Protozoan inf. after splenectomy are:BabesiaEhrlichiaMalariao No increased risk of viral infection has been noted with splenectomy.o Reason for increased infectionThis occurs because the spleen looses its ability to filter and phagocytose bacteria and parasitized blood cells.Splenectomy also results in loss of significant source of antibody production.o Also knowo Hematological effect of splenectomy -Immediatley after splenectomyLeucocytosisThrombocytosis# These levels return to normal within 2-3 weeksChronic manifestationsAnisocytosis and poikilocytosisHowell jelly bodies (nuclear remnants)Heinz bodies (denatured hemoglobin)Basophilic stipling and occasional nucleated erythrocyteo Contraindication to splenectomy : presence of marrow failure: here the enlarged spleen is the only source of hematopoietic tissue.